Drug resistance in Tuberculosis is due to -
1. Transformation
2. Transduction
3. Conjugation
4. Mutation

Correct answer: 4. Mutation

Explanation: Ans. is 'd' i.e., Mutation o The most common mechanism of antitubercuiar drues resistance is bv mutation -1. INH2. Rifampin3. PZA4. ETB5. Streptomycin-----Catalase - peroxidase gene (Kat G) or inh A gene,rpo B genepnc A geneemb B gene16 S rRNA gene (rrs) or ribosomal protein S-12 gene (rpst).